Which of the following is the most common cause of meningoencephalitis in children?
1. Mumps
2. Arbovirus
3. HSV
4. Enterovirus

Correct answer: 4. Enterovirus

Explanation: 80% of cases of viral meningocencephalitis are caused by enteroviral group of viruses such as echovirus and coxsackie virus. Ref: Adams and Victor's principles of neurology By Allan H. Ropper, Raymond Delacy Adams, Maurice Victor, Robert H. Brown page633.